Regarding bile duct injuries following Cholecystectomy which of the following statements is false
1. The incidence following open cholecystectomy is in the range of 0.2 - 0.3%
2. The incidence rate following Laparoscopic Cholecystectomy is three times higher than the rates following Open cholesystectomy
3. Untreated cases may develop secondary biliary cirrhosis
4. Routine use 'open' technique of laparoscopic port insertion has resulted in a decline in the incidence of postlaparoscopic cholecystectomy bile duct injuries

Correct answer: 4. Routine use 'open' technique of laparoscopic port insertion has resulted in a decline in the incidence of postlaparoscopic cholecystectomy bile duct injuries

Explanation: The incidence of bile duct injuries(BDI)following open cholecystectomy is 0.1-0.2% and following laparoscopic cholecystectomy is 0.3-0.6%.;i.e.,3 times more. Untreated Bile duct injuries can lead to stricture formation & thereby secondary biliary cirrhosis. Reference: Bailey & Love's short practise of surgery,25th edition, page no:1124